Strucutre passing through foramen spinosum is?
1. Accessory meningeal artery
2. Middle meningeal artery
3. Mandibular nerve
4. Maxillary nerve

Correct answer: 2. Middle meningeal artery

Explanation: B i.e. Middle meningeal artery